A 20 years old male developed multiple tender non-indurated bleeding ulcers over prepuce 4 days after sexual exposure. The most probable diagnosis in this patient is –
1. Primary syphilis
2. ymphogranulonia venerum
3. Chancroid
4. Donovanosis

Correct answer: 3. Chancroid